Structures passing through superior orbital fissure-a) Oculomotor nerveb) Trochlear nervec)  Lacrimal nerved) Nasocilliary nervee) Abducent nerve
1. abcd
2. acde
3. abcde
4. abce

Correct answer: 3. abcde

Explanation: Structures passing through superior orbital fissure are :-


Middle part (within the ring) :- Upper and lower division of oculomotor nerve, nasociliary nerve, abducent nerve.
Lateral part (above the ring) :- Trochlear nerve, frontal nerve and lacrimal nerve, superior ophthalmic vein, . recurrent menigeal branch of lacrimal artery, orbital branch of middle meningeal artery and sometimes meningeal branch of ophthalmic artery.
Medial part (below the ring) :- Inferior ophthalmic vein, sympathetic nerves around ICA.